Supports of uterus are all except:
1. Uterosacral ligaments
2. Mackenrodt's ligament
3. Broad ligament
4. Levator ani

Correct answer: 3. Broad ligament

Explanation: DeLancey level of support. Level I --Uterosacral and cardinal ligaments/Mackenrodt support the uterus and vaginal vault Level II -- Formed by Paravaginal tissue and their attachment to levator ani muscles and white line. Level III-- Made by Perineal body and muscles attached to it. Includes Levator ani muscle.